A 63-year old man presented with massive splenomegaly, lymphadenopathy and a total leucocyte count of 17000 per mm3. The flow cytometery showed CD 19 positive, CD 5 positive, CD 23 negative, monoclonal B-cells with bright kappa positively comprising 80% of the peripheral blood lymphoid cells. The most likely diagnosis is:
1. Mantle cell lymphoma
2. Splenic lymphoma with villous lymphocytes
3. Follicular lymphoma
4. Hairy cell leukemia

Correct answer: 1. Mantle cell lymphoma

Explanation: Answer is A (Mantle cell lymphoma) The given clinical profile is suggestive of mantle cell lymphoma as explained below. (Mean Age = 63 yrs) Mantle cell lymphoma Presents in the middle aged and the elderly Clinical profile - Painless lymphadenopathy - Splenomegaly - Occasional GI involvement